Which laser is used in the management of after cataracts -
1. Argon
2. Krypton
3. YAG
4. Excimer

Correct answer: 3. YAG

Explanation: After cataract, if thin, can be cleared centrally by a YAG laser capsulotomy.